Which of the following brain tumors does not spread via CSF ?
1. Germ cell tumors
2. Medulloblastoma
3. CNS lymphoma
4. Craniopharyngioma

Correct answer: 4. Craniopharyngioma

Explanation: Brain tumors spreading via CSF 

Ependymoma
Pineoblastoma
Choroid plexus carcinoma
Medulloblastoma
Germinoma
Astrocytoma
CNS lymphoma